Which of the following is the best investigation for acute gout?
1. Serum uric acid
2. Uric acid in synovial fluid
3. Uric acid in urine
4. Anti CCP antibodies

Correct answer: 2. Uric acid in synovial fluid

Explanation: in Acute gout there is increase in value of uric acid but when acute gout attack start, uric acid is not elevated in blood, but elevated in synovial fluid. Acute gout- uric acid in synovial fluid. Chronic Gout - S. Uric acid. Acute gout condition has crystallization of uric acid in the joint space IOC - uric acid in synovial fluid (Joint Aspiration) These crystals exhibiting -vet birefringence in polarized light.